Which of the following statement is false regarding bacterial cell wall?
1. Cell wall of Gram-positive bacteria is thicker than that of Gram-negative bacteria
2. Teichoic acid is present in cell wall of Gram-negative bacteria
3. Region II of LPS is core polysaccharide
4. LPS is responsible for O antigen specificity of gram negative bacteria

Correct answer: 2. Teichoic acid is present in cell wall of Gram-negative bacteria

Explanation: Difference between Gram positive cell wall and gram negative cell wall Structure Primary Functions Chemical Constituents Gram- Positive cell wall Peptidoglycan osmotic stability, structural integrity, cell shape; permeable to antibiotics Thick meshwork of peptide cross-linked polysaccharide chains Teichoic and lipoteichoic acids Adhesion to host cells, weak endotoxin activity, antigenic Polymers of substituted ribitok or glycerol phosphate Proteins Adhesion to host cells, antiphagocytic, antigenic Examples: streptococcal M and R proteins Gram-Negative cell wall Peptidoglycan See above Thinner version of that found in gram-positive bacteria Periplasmic space Transport of nutrients, degradation of macro molecules Between cytoplasmic and outer membranes - carrier proteins and hydrolytic enzymes Outer membrane Structural support, uptake of metabolites, permeability barrier, protection, antigenic Phospholipid bilayer, porins, transport and other proteins, lipopolysaccharide Lipopolysaccharide Endotoxin activity (Lipid A), anticomplement activity (O antigen) Three parts: Lipid A, core polysaccharide, O antigen Porin channel Allow small and hydrophilic molecules to pass outer membrane Porin proteins